Treatment of displaced transverse fracture of patella:
1. POP
2. Tension band wiring
3. Screw
4. Patellectomy

Correct answer: 2. Tension band wiring

Explanation: B i.e. Tension Band wiring